Thiamine deficiency causes decreased energy production because
1. It is required for the process of transamination
2. It is co-factor in oxidative reduction
3. It is co-enzyme for transketolase in pentose phosphate pathway
4. It is co-enzyme for pyruvate dehydrogenase

Correct answer: 4. It is co-enzyme for pyruvate dehydrogenase

Explanation: Thiamine pyrophosphate is the biologically active form of the vitamin, formed by the transfer of a pyrophosphate group from adenosine triphosphate (ATP) to thiamine. Thiamine pyrophosphate serves as a coenzyme in the formation or degradation of a-ketols by transketolase.and in the oxidative decarboxylation of a-keto acids. Clinical indications for thiamine The oxidative decarboxylation of pyruvate and a-ketoglutarate, which plays a key role in energy metabolism of most cells, is particularly important in tissues of the nervous system. In thiamine deficiency, the activity of these two dehydrogenase-catalyzed reactions is decreased, resulting in a decreased production of ATP and, thus, impaired cellular function. [Note: Thiamine deficiency is diagnosed by an increase in erythrocyte transketolase activity observed on addition of thiamine pyrophosphate. Ref: Lippincott, 5th edition, page no: 378, 379